A urinary tract infection as a result of Proteus mirabilis facilitates the formation of kidney stones because the organism:
1. Destroys blood vessels in the kidney
2. Exhibits "swarming" motility
3. Ferments many sugars
4. Produces a potent urease

Correct answer: 4. Produces a potent urease

Explanation: Proteus mirabilis facilitates the formation of kidney stones because the organism produces a potent urease. Proteus: Causes 1-2% of cases of UTI in healthy women. 5% of cases of hospital-acquired UTI. High prevalence of stones is due to bacterial production of urease (Hydrolyzes urea -ammonia - alkalization of the urine-precipitation of struvite and carbonate-apatite crystals- development of calculi). Option 1: Destruction of blood vessels in the kidney is seen in HUS (Haemolytic uremic syndrome) caused by Enteroheamorrhagic Escherichia coli (EHEC). Option 2: Swarming is the property of Proteus but not associated with stone formation. Option 3: Proteus is lactose non fermenter ie. does not ferment lactose (sugar).